Adrenoleukodystrophy is associated with:
1. Accumulation of very long chain fatty acids
2. Accumulation of medium chain fatty acid
3. Increased plasmalogen
4. Decreased pipecolic acid

Correct answer: 1. Accumulation of very long chain fatty acids

Explanation: Ans. A. Accumulation of very long chain fatty acidsAbnormal laboratory findings common to disorders of peroxisome biogenesisPeroxisomes absent to reduced in numberCatalase in cytosolDeficient synthesis and reduced tissue levels of plasmalogensDefective oxidation and abnormal accumulation of very long chain fatty acidsDeficient oxidation and age-dependent accumulation of phytanic acidDefects in certain steps of bile acid formation and accumulation of bile acid intermediatesDefects in oxidation and accumulation of I-pipecolic acidIncreased urinary excretion of dicarboxylic acids